FALSE statement about Hashimoto's thyroiditis in children
1. Hahimoots thyroiditis is uncommon in children
2. Surgery is the treatment of choice
3. Genetic disorders are the risk factors for developing Hashimotos thyroiditis in child
4. Signs of hypothyroidism are seen

Correct answer: 2. Surgery is the treatment of choice

Explanation: (B) Surgery is the treatment of choice # Most frequent cause of thyroid enlargement in children and adolescents is HASHIMOTO'S THYROIDITIS. This is more common in girls and in those with a family history of Hashimoto's or other thyroid disorders.> Apart from the enlarged thyroid, there may be no other changes unless hypothyroidism develops. The management of Hashimoto's thyroiditis in children and adolescents is exactly the same as in adults. Over time, the thyroid will become smaller but this may take several years.> In Hashimoto's thyroiditis, thyroid hormone secretion may be normal at diagnosis, but monitoring is recommended in case hypothyroidism develops.> Treatment with levothyroxine is usually lifelong, but because the dosage may change, check your TSH level every six to 12 months.> There are special groups of children, such as those with Diabetes Mellitus type 1, Down Syndrome, or Turner Syndrome, who should be regularly checked, as they are more likely to develop Hashimoto's thyroiditis.